Which of the following is not true regarding nucleic acids
1. mRNA is synthesised from template strand of DNA
2. mRNA is synthesised from non-coding strand of DNA
3. tRNA does not contain thymine as one of the pyrimidine bases
4. Two strands of DNA are anti-parallel in nature

Correct answer: 3. tRNA does not contain thymine as one of the pyrimidine bases

Explanation: The two strands of the double-helical molecule, possesses Polarity Antiparallel;(one strand runs in the 5' to 3' direction and the other in the 3' to 5' direction). Template strand/noncoding strand. Genetic information resides in the sequence of nucleotides on one strand Strand of DNA that is copied during ribonucleic acid (RNA) synthesis. Coding strand The opposite strand Matches the sequence of the RNA transcript that encodes the protein. tRNA is the only RNA that contains thymine as one of the pyrimidine bases. because methylation by S-adenosylmethionine of a UMP of preformed tRNA forms TMP (thymidine monophosphate), which contains ribose rather than deoxyribose.